Which of the following patients should have their surgery deferred for further cardiac evaluation
1. 60 year old chronic smoker and diabetic with uncontrolled blood sugar and hypertension (BP=159/100)
2. A 55 year old female patient with mobitz type 2 heart block rhythm
3. 70 year old male patient with congestive heart failure who has history of dyspnea on exertion
4. 45 year old female patient who has shortness of breath while climbing upstairs

Correct answer: 2. A 55 year old female patient with mobitz type 2 heart block rhythm

Explanation: Mobitz type 2 heart block is an active cardiac condition that needs further evaluation before proceeding to surgery.
Dyspnea at rest or with minimal exertion, decompensated cardiac failure, severe stenotic valvular lesions are other conditions.